The complication of extra capsular extraction of lens is:
1. Cystoid macular oedema
2. Opacification of capsule
3. Iritis
4. All

Correct answer: 4. All

Explanation: A i.e. Cystoid Macular Oedema; B i.e. Opacification of capsule; C i.e. Iritis